Deep blue colour of hypostasis is seen in death due to poisoning by :
1. Potassium cyanide
2. Phosphorus
3. Aniline dyes
4. Carbon monoxide

Correct answer: 3. Aniline dyes

Explanation: C i.e. Aniline dye